Spontaneous absorption of the lenticular material is seen in:
1. Myotonic dystrophy
2. Hallermann-Streiff syndrome
3. Aniridia
4. Persistent hyperplastic primary vitreous

Correct answer: 2. Hallermann-Streiff syndrome

Explanation: Ans. (b) Hallermann-Streiff syndromeRef: Kanski 7/e, p. 302Spontaneous lens absorption sometimes occurs in older individuals with Hallermann-Streiff syndrome (Salo, Terasaki, Amano, Okamoto & Miyake, 2002)Other ocular features#Microphthalmos#B/L, congenital cataract#Blue sclera#Disc coloboma#Nystagmus and strabismus